Intermediate host for Taenia saginata is?
1. Man
2. Snail
3. Cattle
4. Pig

Correct answer: 3. Cattle

Explanation: Ans. is 'c' i.e., Cattlecommonly known as the beef tapeworm, is a zoonotic tapeworm.Humans are generally infected as a result of eating raw or undercooked beef which contains the infective larvae, called cysticerci.embryonated eggs, called oncospheres, are released with faeces and are transmitted to cattle through contaminated fodder.Oncospheres develop inside muscle, liver, and lungs of cattle into infective cysticerci.